Lead inhibits which enzymes in the heme synthesis pathway:
1. Aminolevulinate synthase
2. Ferrochelatase and 6-ALA dehydratase
3. Porphobilinogen deaminase
4. Uroporphyrinogen decarboxylase

Correct answer: 2. Ferrochelatase and 6-ALA dehydratase

Explanation: Ans. Ferrochelatase and 6-ALA dehydratase